Growth factor oncogene is -
1. myc
2. fos
3. sis
4. jun

Correct answer: 3. sis

Explanation: Sis oncogene is a growth factor.
Myc, jun and fos oncogenes are nuclear regulatory proteins


Following information have been added in 8th/ e of Robbin's 
miRNA and cancer

It has already been explained in genetics that miRNA is a gene-silencing RNA, i.e. it inhibits gene expression at post-transcription level.
So, miRNA can be involved in tumorigenesis in two ways :


Reduced activity of miRNA that inhibits translation of an oncogene will result in excess of oncoprotein and tumorigenesis. For example, mRNA inhibits expression of anti-apoptotic gene Bcl 2. Reduced activity of this miRNA results in over-expression of Bcl-2 which inhibits apoptosis and results in leukaemia and lymphoma. Similarly, miRNA mediated upregulation of Ras and Myc oncogenes has been detected in lung tumor and B-cell leukemia, respectively.
On the other hand, overactivity of miRNA that targets a tumor suppression gene will result in inhibition of expression of tumor suppressor gene and tumorigenesis.